Causative organism of "Meliodosis" is :
1. Leptospira
2. Burkholderia mallei
3. Pseudomonas pseudomallei
4. Chlamydia

Correct answer: 3. Pseudomonas pseudomallei

Explanation: Pseudomonas pseudomallei